Not a symptom of inorganic chronic lead poisoning:
1. Constipation
2. Insomnia
3. Colic
4. Anorexia

Correct answer: 2. Insomnia

Explanation: Ans. Insomnia